All of the following are the true for post lumbar puncture headache except
1. Presents 12 hours after procedure
2. Pain is relieved in standing position
3. Pain is worsened by headshaking
4. Pain is occipito-frontal in location

Correct answer: 2. Pain is relieved in standing position

Explanation: Ans. (B) Pain is relieved in standing position(Ref: Evidence-Based obstetric Anesthesia p75)Post-dural-puncture headache (PDPH) or post-lum- bar-punture headache occurs 12-24 hours after dural puncture.It presents with headache (occipito frontal) and nausea that typically worsens when the patient assumes upright position.Incidence is higher in younger patients.